Organisms associated with fish consumption and also causes carcinoma Gallbladder
1. Gnathostoma
2. Anglostrongyloidosis cantonensis
3. Clonorchis sinensis
4. H.dimunata

Correct answer: 3. Clonorchis sinensis

Explanation: Clonorchis sinensis Clonorchis sinensis is a liver fluke, acquired by Ingestion of raw or inadequate cooked freshwater fishes In human body, it lives within bile ducts and causes Inflammatory reaction leading to cholangiohepatitis and biliary obstruction. It is well known risk factor for cholangiocarcinoma It is a rare, but mentioned risk factor for carcinoma Gallbladder Ref: www.ncbi.nlm.gov/pubmed/3993073